Blood supply of posterior limb of internal capsule includes all except-
1. Middle cerebral artery
2. Anterior cerebral artery
3. Anterior choroidal artery
4. Posterior cerebral artery

Correct answer: 2. Anterior cerebral artery

Explanation: Posterior limb of internal capsule is supplied by three sets of arteries :

striate branch of middle cerebral  artery,
anterior choroid artery; and
posterolateral branches of posterior cerebral artery.